Widest spectrum aminoglycoside is -
1. Streptomycin
2. Amikacin
3. Framycetin
4. Netilmicin

Correct answer: 2. Amikacin

Explanation: Ans. is 'b' i.e., Amikacin